Tail of pancreas lies in which of the following ligament
1. Hapato - gastric
2. Hepato duodenal
3. Gastro splenic
4. Spleno renal

Correct answer: 4. Spleno renal

Explanation: Tail of pancreas lies in Spleno renal ligament. Gastro splenic - short gastro and left gastro-omental vessels.